Pathology in keratomalacia:
1. Accumulation of desquamated debris
2. Absence of mucus
3. Breakdown of collagen fibers in corneal stroma
4. Infection with corynebacterium xerosis

Correct answer: 3. Breakdown of collagen fibers in corneal stroma

Explanation: Breakdown of collagen fibres in corneal stroma occur in keratomalacia. VitA deficiency leads to keratomalacia in which cornea becomes dull and insensitive, hazy and yellow infiltrates form until finally the whole tissue undergoes necrosis and seems to melt away (keratomalacia) within a few hours. A characteristic feature is the absence of inflammatory reaction.